Thyroid condition which cannot be diagnosed by FNAC is
1. Thyroiditis
2. Medullary carcinoma
3. Lymphoma
4. Follicular carcinoma

Correct answer: 4. Follicular carcinoma

Explanation: Ans. is 'd' i.e., Follicular carcinoma Fine-needle aspiration cytology* FNAC is the investigation of choice in discrete thyroid swellings.* FNAC has excellent patient compliance, is simple and quick to perform in the out-patient department and is readily repeated.* Thyroid conditions that may be diagnosed by FNAC include colloid nodules, thyroiditis, papillary carcinoma, medullary carcinoma, anaplastic carcinoma and lymphoma.* FNAC cannot distinguish between a benign follicular adenoma and follicular carcinoma, as this distinction is dependent not on cytology but on histological criteria, which include capsular and vascular invasion.